The term balanced anesthesia has been given by
1. Simpson
2. Fischer
3. Lundy
4. Moan

Correct answer: 3. Lundy

Explanation: Refer Goodman Gilman 12/e p 528 Term balanced anaesthesia was introduced by Lundy in 1926